Glycogen storage disease with predominant muscle involvement –
1. Type I
2. Type III
3. Type IV
4. Type V

Correct answer: 4. Type V